Which of the following is false about Wilm's tumor:
1. Presents before the age of 5 years
2. Mostly presents as abdominal mass
3. Spreads mostly by lymphatics
4. Responds well to treatment

Correct answer: 3. Spreads mostly by lymphatics

Explanation: Ans. C: Spreads mostly by lymphatics Wilms' tumor or nephroblastoma is cancer of the kidneys that typically occurs in children, rarely in adults. The majority (75%) occur in otherwise normal children (1-6 years); a minority (25%) is associated with other developmental abnormalities. It is highly responsive to treatment, with about 90% of patients surviving at least five years. Most nephroblastomas are unilateral, being bilateral in less than 5% of cases. They tend to be encapsulated and vascularized tumors that do not cross the midline of the abdomen. In cases of metastasis it is usually hematogenous and to the lung.